Dark ground microscopy is used for -
1. TPI
2. FTA - ABS
3. Kahn's test
4. VDRL

Correct answer: 1. TPI

Explanation: In TPI test, the serum of patient is incubated with complement and T. pallidum maintained in a complex medium anaerobically. If the antibodies are present, the treponemes are immobilized, that is, rendered nonmotile, when examined under dark ground illumination.